Maternal near miss refers to :
1. Teenager becoming pregnant
2. Contraceptive failure in a teenager
3. A woman presenting with life threatening condition but has survived
4. A woman presenting with life threatening condition who has died

Correct answer: 3. A woman presenting with life threatening condition but has survived

Explanation: Near miss mortality For every woman who dies, many suffer serious life threatening complications of pregnancy. The continuum of maternal health to mortality is normal pregnancy --morbidity--severe morbidity--near miss mortality--death. As near miss occurs more frequently than maternal death a more reliable assessment of the quality of maternity services can be made. TEXTBOOK OF OBSTETRICS,SHEILA BALAKRISHNAN,Pg no:587,2nd edition